Gemination of teeth occur due to
1. Division of a single tooth bud after calcification
2. Division of a single tooth bud before calcification
3. Fusion of two teeth before calcification
4. Fusion of two teeth after calcification

Correct answer: 2. Division of a single tooth bud before calcification